Mirizzi's Syndrome is
1. GB stone compressing common hepatic duct
2. GB carcinoma invading IVC.
3. GB stone causing cholecystitis
4. Pancreatic carcinoma

Correct answer: 1. GB stone compressing common hepatic duct

Explanation: Mirriz's syndrome(Functional hepatic syndrome) It is defined as obstruction of the common hepatic duct or CBD by external compression or by erosion of stone in the Hartmann pouch or cystic duct. External compression has been classified as type I where as erosion as type II Mirriz's syndrome by McSherry Ref: Sabiston 20th edition Pgno :1510